In tuberculosis of scrotal contents, first to get affected is ?
1. Testis
2. Epididymis
3. Rete testis
4. Vas deferens

Correct answer: 2. Epididymis

Explanation: Tuberculosis : It involves mainly epididymis not testis and so ulcer/sinus occurs over the posterior aspect of the scrotum not in front. Secondary hydrocele develops in 30% cases. 60% will have renal tuberculosis. Reference : SRB's Manual of Surgery, 6th Edition, page no = 1075.